Schilling test is done for ?
1. Vitamin B12 deficiency
2. Folic acid deficiency
3. Vitamin B6 deficiency
4. Vitamin D deficiency

Correct answer: 1. Vitamin B12 deficiency

Explanation: schilling test to determine whether there is B12 malabsorption and if so where is it occurring Ref Harrison 20th edition pg 78